True about simple randomization is
1. Every person has an equal chance of selection
2. Less number of samples are obtained
3. Also known as systemic randomisation
4. Groups are not equally distributed

Correct answer: 1. Every person has an equal chance of selection

Explanation: Ans. is 'a' Every person has an equal chance of selection Simple random sampling :It's done by assigning no. to each units and then selecting them randomly using a table of random numbers.with this procedure the sample is drawn in such a way that each unit has an equal chance of being drawn in sample.This technique provides the greatest number of possible samples not lessSimple randomization is not same as systemic random samplingSystemic random sampling: It's done by picking every 5th or 10th unit at regular intervals.Stratified random sample : The sample is drawn in such a systemic way so that each position of the sample represents a corresponding strata of the universe.